A man working under conditions of high temperature should increase his intake of
1. NaCl
2. Iron
3. Vitamin D
4. Phosphates

Correct answer: 1. NaCl